Indications of steroids in SLE are all except:
1. Myocarditis
2. Endocarditis
3. Thrombocytopenia
4. Neuropsychiatric symptoms

Correct answer: 2. Endocarditis

Explanation: Answer is B (Endocarditis) :